Vagal stimulation of the heart causes all, EXCEPT:
1. Decreased Heart Rate
2. Decreased force of Heart contraction
3. Decreased Cardiac Output.
4. Decreased R-R interval in ECG

Correct answer: 4. Decreased R-R interval in ECG

Explanation: Parasympathetic supply to the heart by vagus nerve causes decreased heart rate, decreased force of contraction, decreased cardiac output. R-R interval is the time interval between consecutive heart beats in the ECG. So a decrease in heart rate increases the R-R interval.